Varicocele of pampiniform plexus of veins has all the following characteristics except -
1. Negative transillumination test
2. Reducible
3. Cough impluse is present
4. Frequently on right side

Correct answer: 4. Frequently on right side